Adipocere formation is seen in?
1. Dead body exposed to air
2. Dead body buried in damp, clay soil
3. Burial dry hot air
4. All of the above

Correct answer: 2. Dead body buried in damp, clay soil

Explanation: Ans. is 'b' i.e., Dead body buried in damp, clay soil Adipocere formation (saponification)o Adipocere is a modification ofputrefaction, which occurs in the absence of air. That is when there is excessive moisture (humidity) and warnth (warm temperature), but absence of air i.e. warm humid climate, normal putrefaction does not occur, rather saponification occurs.o Thus adipocese formation occurs in dead bodies which are lying in water (immered in water) or hurried in damp lay soil.o Saponification (adipocer formation) is the conversion of dead body into soft, fatty waxy substance due to conversion of unsaturated liquid fats to saturated solid fats under the influence of intrinsic lipase and lecithinase produced by Cl. perfringens. The process involves gradual hydrolysis and hydrogenation of body fats into higher fatty acids which combine with calcium and ammonium ions to form insoluble soaps. Ultimately, palmitic, oleic, stearic and hydroxystearic acids are formed, mixture of these is known as adipocere.o Adipocere formation starts in subcutaneous fat and is marked in areas having excessive fat, eg. cheeks, female breast, buttocks and abdomen. Slowly the whole body including muscles and internal viscera change into adipocere. Adipocere has offensive or sweetish smell, however in early stages, smell is ammonical.o Body is converted into soft, waxy and brittle substance, it floats on water, it can be cut easily, it dissolves in alcohol and ethers, and it melts on heating. Facial features and injuries on body are well preserved, thus identfication of body and determination cause of death (in case of injury) are possible.o Normally adipocere formation requires 3 weeks to upto 3 to 6 months. However shortest recorded period in india is 3 days 22 hours. In india, it has been observed to begin within 4-5 days. Adipocere may persist for years or decades. Adipocere does not occur in foetus less than 7 months.o Medicolegal importance : (i) Identification of body (facial features are preserved), (ii) cause of death (injury marks are preserved), (iii) time since death can be estimated.